"Lift off" test is done for
1. Subscapularis
2. Infraspinatus
3. Supraspinatus
4. Teres minor

Correct answer: 1. Subscapularis

Explanation: a. Resisted internal rotation (subscapularis) = "Lift-off test"b. Resisted external rotation (infraspinatus, teres minor)c. Resisted abduction (supraspinatus) = "Empty Can Test", Jobe's Test (thumbs down, arms forward 30deg) and Drop-Arm Testd. Speed's Test (biceps)e. Yergason's Test (biceps)